The lateral fornix is related to all except -
1. Ureter
2. Uterine artery
3. Inferior vesical artery
4. Transverse cervical ligament

Correct answer: 3. Inferior vesical artery

Explanation: Relation of the lateral fornix
-        Transverse cervical ligament
-        Vaginal vein
-        Ureter
-        Uterine artery